Ophthalmic finding of acute meningococcal meningitis are all except
1. Ocular motility palsy
2. Papilloedema
3. Optic neuritis
4. Glaucoma

Correct answer: 4. Glaucoma

Explanation: Answer- D. GlaucomaOphthalmic manifestations of meningococcal meningitis include ocular motility abnormalities due to third, fourth, and sixth nerve palsies and nystagmus.Raised intracranial pressure associated with meningitis may cause papilloedema and secondary optic atrophy.Optic neuritis and papillitis are potential causes of visual loss in Patients with meningitis.